Why oxygen transport by haemoglobin is impaired by decreased glycolytic activity?
1. Reduced synthesis of haemoglobin
2. Reduced energy production
3. Increased production of 2,3 bisphosphoglycerate
4. Decreased production of 2,3 bisphosphoglycerate

Correct answer: 4. Decreased production of 2,3 bisphosphoglycerate

Explanation: 2,3 bisphosphoglycerate is an important allosteric modifier of haemoglobin oxygen saturation and desaturation. During decreased glycolytic activity decreased production of 2,3 bisphosphoglycerate is responsible for increased oxygen affinity for Hb and decreased dissociation from it leading to impaired oxygen delivery to tissues.